Which one of the following stains is specific for Amyloid?-
1. Periodic Acid schif (PAS)
2. Alzerian red
3. Congo red
4. Von - Kossa

Correct answer: 3. Congo red

Explanation: harshmohan textbook of pathology 7th edition. *all types of amyloid have affinity for Congo red stain and amyloid stains pink red in color. If the stained section is viewed in polarised light the amyloid shows apple green birefringence due to cross beta pleated sheet configuration of amyloid fibre